Mechanism of action of Theophylline in Bronchial Asthma include all of the following, EXCEPT:
1. Phosphodiesterase inhibition
2. Adenosine Receptor antagonism
3. Increased Histone Deacteylation
4. Beta-2 Receptor stimulation

Correct answer: 4. Beta-2 Receptor stimulation

Explanation: Theophylline has no action on beta 2 receptor. It is a methyxanthine, which cause bronchodilation mainly by increasing the cAMP levels, by inhibiting the phosphodiesterase enzyme. Mechanism of action of theophylline includes: 1) Release of calcium from the sarcoplasmic reticulum in skeletal and cardiac muscle. 2) Inhibition of phosphodiesterase 3) Blockage of adenosine receptor. Adenosine cause bronchoconstriction, dilate cerebral vessels and inhibit gastric secretion and cardiac pacemaker. Ref: Essentials of Medical Pharmacology By KD Tripathi, 5th Edition, Page 201 - 204.